All of the following infections due to nematodes result from ingestion of infective eggs except-
1. Ascaris lumbricoides
2. Enterobius vermicularis
3. Strongyliodes stercoralis
4. Trichuris trichura

Correct answer: 3. Strongyliodes stercoralis

Explanation: filariform larvae- infective form Man acquires infection by walking on barefoot on the contaminated soil. The filariform larvae penetrates the skin coming in contact with soil. (refer pgno:149 baveja 3 rd edition)